If apgar score is 6, at 5 minutes of life, then what is the interpretation:
1. Child is normal
2. Moderate asphyxia
3. Severe birth asphyxia
4. It requires immediate resuscitation

Correct answer: 2. Moderate asphyxia

Explanation: According to NNF & WHO : APGAR SCORE INTERPRETATION 0-3 Severe birth asphyxia 4-7 Moderate birth asphyxia >7 Normal